On performing refraction using a plane mirror on a patient who has a refractive error of -3D sphere with -2D cylinder at 90 degree from a distance of 1 metre under no cycloplegia, the reflex would be seen to move:
1. With the movement in the horizontal axis and against the movement in the vertical axis
2. With the movement in both the axes
3. Against the movement in both the axes
4. With the movement in the vertical axis and against the movement in horizontal axis

Correct answer: 3. Against the movement in both the axes

Explanation: Ans. Against the movement in both the axes